Acute orchitis all are seen except -
1. Increased local temprature
2. Decreased blood flow
3. Etythematous scrotum
4. Raised TLC

Correct answer: 2. Decreased blood flow

Explanation: Ans. is 'b' i.e., Decreased blood flow o USG shows increased blood flow in acute stage.o Ischemic orchitis may set in, in late stages resulting in reduced blood flow on USG.